The sensory supply of the fallopian tube and ovary is from -
1. D6 to D8
2. D8 to D10
3. D10 to D12
4. L2 to L4

Correct answer: 3. D10 to D12

Explanation: Sensory supply of Ovary- T10-T11
Sensory supply of Fallopian tube- T10- L2